Person A develops hatredness towards person B. But in turn he tells infront of his friends that person B hates him. This is an example of:
1. Denial
2. Passive aggression
3. Projection
4. Reaction formation

Correct answer: 3. Projection

Explanation: Projection is an example of narcissistic defense mechanism where a person projects own unacceptable feeling about others on to others.